An adult hypertensive male presented with sudden onset severe headache and vomiting. On examination, there is marked neck rigidity and no focal neurological deficit was found. The symptoms are most likely d/t
1. Intracerebral parenchymal hemorrhage
2. Ischemic stroke
3. Meningitis
4. Subarachnoid hemorrhage

Correct answer: 4. Subarachnoid hemorrhage

Explanation: Harrison's principles of internal medicine 17 th edition. *SAH characterised by headache ,which is generalised and sudden onset ,neckstiffness,vomiting is common *Althoughsudden headache without focal neurological deficit may occur as hallmark feature of aneurysmal rupure ,but focal neurological deficit may occur .